In wood lamp examination,Tinea versicolor looks like
1. Green
2. Red
3. Yellow
4. Blue

Correct answer: 3. Yellow

Explanation: Tinea versicolor is caused by Malassezia furfur. examination shows a golden yellow fluorescence under ultraviolet light of Wood's lamp. Reference : Anathanarayan & paniker's 9th edition, pg no:615